All are true regarding thrombotic thrombocytopenia purpura except
1. Normal ADAMTS levels
2. Microangipothic hemolytic anaemia
3. Thrombocytopenia
4. Thrombosis

Correct answer: 1. Normal ADAMTS levels

Explanation: Refer Robbins page no 659